All of the following take part in male genital tract development except;
1. SRY
2. SOX-9
3. FGF-9
4. WNT4

Correct answer: 4. WNT4

Explanation: SRY is a transcription factor and master gene for testes development.It appears to act in conjuction with autosomal gene SOX-9,transcriptional regulator that can induce testis differentiation.SOX-9 binds to promotor region of gene for AMH substance and regulates its expression.They both induce secretion of FGF-9 that act as a chemotactic factor that make tubules from mesonephric duct to penetrate gonadal ridge.SRY directly or indirectly upregulates steroidogenesis factorwhich differentiates leydig and sertoli cells. LANGMAN'S MEDICAL EMBRYOLOGY,12 TH EDITION ,Pg no:246